Commonest histological type of carcinoma testis is:
1. Teratoma
2. Yolk sac tumour
3. Seminoma
4. Choriocarcinoma

Correct answer: 3. Seminoma

Explanation: Ans: c (Seminoma)Ref Robbin's, 7th ed. p. 1041 & 6thed. p. 1019